In the posterior maxilla, the pontic of choice is
1. Sanitary
2. Point contact
3. Bullet shaped
4. Modified ridge lap

Correct answer: 4. Modified ridge lap